Stratified cuboidal epithelium is seen in?
1. Ovaries
2. Cervix
3. Ovarian follicles
4. Larynx

Correct answer: 3. Ovarian follicles

Explanation: Stratified cuboidal epithelium is seen in large ducts of exocrine glands like sweat glands ,pancreas and salivary glands Inderbir Singh's textbook of Human Histology Seventh edition Pg no;48